Endoplasmic reticulum is not involved in ?
1. Protein synthesis
2. Steroid synthesis
3. DNA synthesis
4. Triglyceride synthesis

Correct answer: 3. DNA synthesis

Explanation: Ans. is 'c' i.e., DNA synthesis Endoplasmic reticulum are involved in :-Rough ER : Protein synthesis (hormones, enzymes etc.)Smooth ER: Triglyceride synthesis, steroid synthesis, cholesterol synthesis, Phospholipid synthesis, fatty acid chain elongation.